In general, hand sharpening of instruments with
unmounted stones is preferable to sharpening by motor - driven mounted stones because unmouted stones
1. have a finer grain
2. are less likely to alter the bevel
3. are easier to sterilize
4. wear away less of the instrument surface

Correct answer: 4. wear away less of the instrument surface